Mazabraud syndrome is characterized by?
1. Fibrous dysplalsia intramuscular myxoma
2. FD with skeletal changes and cutaneous pigmentation
3. FD with craniofacial, rib and skin deformities
4. FD with early puberty and hyperparathyroidism

Correct answer: 1. Fibrous dysplalsia intramuscular myxoma

Explanation: Mazabraud's syndrome is a rare disorder characterized by the association of single or multiple intramuscular myxomas with fibrous dysplasia